The first step in fructose metabolism in the liver is
1. Isomerization of glucose
2. Phosphorylation to fructose 1, 6 bisphosphate by ATP
3. Phosphorylation to fructose 6 phosphate by ATP
4. Phosphorylation to fructose 1 phosphate by ATP

Correct answer: 4. Phosphorylation to fructose 1 phosphate by ATP

Explanation: Fructose metabolism The first step isFructose| ATP to ADP| FructokinaseFructose-1-Phosphate Second step: Fructose-1-Phosphate can convert into Glyceraldehyde or DHAP with the help of Aldolase (Fructose-1-Phosphate aldolase)Glyceraldehyde converted to Glyceraldehyde-3-Phosphate with the help of Triose kinase and ATP converted to ADPDHAP converted to Glyceraldehyde-3-Phosphate with help of Triose-phosphate isomerase.